Late decelerations are due to :
1. Uteroplacental insufficiency
2. Cord compression
3. Head compression
4. Fetal Anemia ( Rh Incompatibility )

Correct answer: 1. Uteroplacental insufficiency

Explanation: Early decelerations are due to head compression (stimulation of vagus nerve) Late decelerations are due to uteroplacental insufficiency (fetal distress/hypoxia) Variable decelerations are due to cord compression (oligohydramnios in labor)